To define a health problem, prevalence of corneal xerosis should be -
1. >1%
2. >0.5%
3. >0.01%
4. >0.05%

Correct answer: 3. >0.01%

Explanation: - corneal xerosis a serious problem in which cornea appears dull, dr and non wettable and eventually opaque. - To define a health problem, prevalence of corneal xerosis should be more than 0.01%. Reference : Park's textbook of preventive and social medicine, 23rd edition, pg no:616